Immunity acquired due to the injection of immunologically competent lymphocytes is termed as -
1. Innate immunity
2. Adoptive immunity
3. Active immunity
4. Local immunity

Correct answer: 2. Adoptive immunity

Explanation: Ans. is 'b' i.e., Adoptive immunity